Which of the following types of entropion is not known:
1. Spastic entropion
2. Paralytic entropion
3. Cicatricial entropion
4. Involutional entropion

Correct answer: 2. Paralytic entropion

Explanation: Ans. Paralytic entropion